Cephalic index is useful for determination of -
1. Age
2. Sex
3. Race
4. Religion

Correct answer: 3. Race

Explanation: Cephalic index is used for determination of race.